Infertility in Kartagener:
1. Oligospermia
2. Blockage of epididymis
3. Asthenozoospermia
4. Undescended testes

Correct answer: 3. Asthenozoospermia

Explanation: Ans. C. Asthenozoospermia* Kartagener is a primary ciliary disorder and as such the sperms have abnormal/reduced motility (asthenozoospermia).* Blockage of epididymis is a feature of Young syndrome (but there is no situs inversus like Kartagener syndrome and patients tends to have normal sperm motility)